If circumflex artery gives the posterior intervenetricular branch, this circulation is described as:
1. Right dominance
2. Left dominance
3. Codominance
4. Undetermined

Correct answer: 2. Left dominance

Explanation: Answer is B (Left dominance):